Disease imported into a country in which they otherwise do not occur is known as?
1. Epiornithic disease
2. Zoonotic disease
3. Exotic disease
4. Epizootic disease

Correct answer: 3. Exotic disease

Explanation: Examples include Rabies in the UK, Epidemic Polyarthritis in visitors to Fiji due to the Ross River virus(an alphavirus), presumed to have been introduced by mosquitoes harboured in the aircraft. Ref: 25th edition, Park's Textbook of Preventive and Social Medicine, Page no. 101